All of the following assist in predicting ovulation except:
1. Basal body temperature
2. Cervical mucus
3. Serum progesterone in follicular phase
4. Endometrial biopsy

Correct answer: 3. Serum progesterone in follicular phase

Explanation: Ans. C: Serum progesterone in follicular phase Ovulation is estimated to occurl4 days before the first day of the succeeding cycle, and this interval is more or les fixed. In case of irregular cycles, it is the follicular phase which varies, but the luteal phase remains more or less constant at 14 days Test of ovulation include 1) basal body temperature, 2) endometrial biopsy, 3) fern test (cervical mucus), 4) ultrasound and 5) hormonal study (progesterone, LH, FSH etc.) Progesterone level reaches peak of 15 mg/ ml at mid-luteal phase and then declines as the corpus luteum degenerates Ovulation: Ovulation corresponds to: LH surge LH surge preceeds ovulation by: 24 hours Ovulatory period corresponds to: 14 days before menstruation Best predictor of ovulation: Preovulatory rise in progesterone Corpus luteum is the source of progesterone in normal menstrual cycle Inhibin is secreted by: Graffian follicle